Brunner's gland is seen in:
1. Lungs
2. Stomach
3. Duodenum
4. Ileum

Correct answer: 3. Duodenum

Explanation: Brunner's gland is a mucin secreting cell in the duodenum. The proximal part of the duodenum has, primarily in its submucosa but extending into the mucosa, large clusters of branched tubular mucous glands, the duodenal (or Brunner) glands, with small excretory ducts opening among the intestinal crypts. The product of the glands is distinctly alkaline (pH 8.1-9.3), which neutralizes chyme entering the duodenum from the pylorus, protecting the mucous membrane and bringing the intestinal contents to the optimum pH for pancreatic enzyme action. The other mucin secreting cells of GIT are goblet cells, Crypts of Lieberkuhn. Also Know: Bartholin's gland - in vestibule Cooper's gland -bulbourethral gland Master gland - Hypophysis Meibomian gland - modified sebaceous gland present in the areola of the breast. Rosenmuller gland- node of cloquet which receive lymph from glans penis in male and clitoris in female. Ref: Mescher A.L. (2010). Chapter 15. Digestive Tract. In A.L. Mescher (Ed), Junqueira's Basic Histology: Text & Atlas, 12e.